All of the following are used in Alopecia Areata except
1. Tacrolimus
2. Acitretin
3. Steroids
4. Phototherapy

Correct answer: 2. Acitretin

Explanation: Treatment of Alopecia Areata- A) Topical- 1) Steroids 2)Calcineurin Inhibitors - Sirolimus , Tacrolimus 3) Contact irritant/ sensitisers - Dinitrochlorobenzene , Squaric acid dibutyl ether B) Systemic - 1) Steroids - Oral mini pulse given 2 days / week (Betamethasone) 2) Steroid sparing agent - Azathioprine 3) Immunomodulator - Levamisole C) Intralesional - Preferred for single lesion - Triamcinolone -10 mg/ml D) Phototherapy - Used for generalised cases